A dead body is having cadaveric lividity of greenish-purple colour. The most likely cause of death is by poisoning due to:
1. Hydrocyanic acid
2. Hydrogen sulphide
3. Oleander
4. Sodium nitrite

Correct answer: 2. Hydrogen sulphide

Explanation: Post mortem appearances of hydrogen sulphide (H2S) poisoning: Rotten egg odour General signs of asphyxia The colour of the blood and viscera and bronchial secretions is greenish-purple. In hydrocyanic acid poisoning the colour is bright red. In poisoning by nitrites, potassium chlorate, potassium bicarbonate, nitrobenzene, acetanilide, bromates, and aniline the colour is chocolate or copper brown. There is no characteristic appearance in oleander poisoning. Ref: Textbook of Forensic Medicine and Toxicology by K S Narayan Reddy, 27th edition, Page 557.